A patient presented with clinical features of ataxia and in-coordination. It is most likely due to involvement of which artery among the following
1. Anterior cerebral
2. Posterior cerebral
3. Middle cerebral
4. Superior cerebellar

Correct answer: 4. Superior cerebellar

Explanation: Clinical features of ataxia and in-coordination belong to cerebellar pathology, which might arise if there was involvementof superior cerebellar artery. Cerebral artery involvement (anterior, middle or posterior) does not usually present with cerebellar sign and symptoms.